Antibiotic for both MRSA and VRSA is
1. Clarithromycin
2. Clindamycin
3. Linezolid
4. Lincomycin

Correct answer: 3. Linezolid

Explanation: Ref:KDT 6/e p 733